Structure related to deltopectoral groove is
1. Axillary artey
2. Cephalic vein
3. Basilic vein
4. Radial nerve

Correct answer: 2. Cephalic vein

Explanation: the deltopectoral groove - The cephalic vein, the deltoid branch of the thoraco-acromial artery, and one or two deltopectoral lymph nodes lie in the deltopectoral groove, under the deep fascia on the medial side of the septum. Ref : B D Chaurasia's Human Anatomy , seventh edition , volume 1 , pg. no., 43